In the Manning scoring system of biophysical profile for fetal monitoring, which parameter is not included?
1. Fetal tone
2. Fetal gross body movements
3. Oxytocin challenge test
4. Non stress test

Correct answer: 3. Oxytocin challenge test

Explanation: Parameters of the Manning scoring system of biophysical profile: Variable Two Points Nonstress test Reactive Fetal breathing movements One or more episodes of rhythmic breathing movements for 30 seconds or more Fetal movement Three or more discrete body or limb movement within 30 minutes Fetal tone One or more episodes of extension of a fetal extremity with return to flexion, or opening or closing of a hand Amniotic fluid volume A single maximum vertical pocket of 2 cm or more A score of 8 or 10 (of a possible score of 10) is considered normal. A score of 6 is considered equivocal, and a score of 4 or less is considered abnormal. Ref: Gupta S., Roman A.S. (2013). Chapter 11. Imaging in Obstetrics. In A.H. DeCherney, L. Nathan, N. Laufer, A.S. Roman (Eds), CURRENT Diagnosis & Treatment: Obstetrics & Gynecology, 11e.